Major sources of androgen in females are all except:
1. Adrenals
2. Ovaries
3. Peripheral conversion to androgen precursors in the liver, gastro-intestinal tract and adipose tissue
4. Corpus luteum

Correct answer: 4. Corpus luteum

Explanation: Remember:- for clomiphene
• M/C side effect of clomiphene- Menopausal symptom
                                                   - Ovarian cyst formation
• Side effect for which its use - Should be immediately stopped - visual symptoms
• Most dreaded side effect - OHSS
• Chances of OHSS = <1%
• Chances of multiple pregnancy - <10% (6–8%)
• Maximum dose = 100 mg
• Maximum duration of use = 12 months.